Synthesis of protein occurs on:
1. Mitochondria
2. Poly ribosomes
3. Nucleus
4. Golgi bodies

Correct answer: 2. Poly ribosomes